False about absorption
1. Glucose absorption through SGLT-1 is active
2. Most of the drugs are absorbed by passive diffusion
3. Acidic drugs are absorbed when pH > Pka
4. Basic drugs are absorbed when pH > Pka

Correct answer: 3. Acidic drugs are absorbed when pH > Pka

Explanation: When pH > pKa (Basic medium): Acidic drugs are ionized, so can't be absorbed.